CYP-450 inducers are -
1. Cimetidine
2. Ketoconazole
3. Phenobarbitone
4. All

Correct answer: 3. Phenobarbitone

Explanation: Ans. is 'c' i.e., Phenobarbitone Drugs that induce microsomal enzymes o Phenobarbitone o Rifampin o Isoniazid o Phenylbutazone o DDT o Carbamezepine o Clofibrate o Ritonavir o Chronic alcohol intake o Cyclophosphamide o Phenytoin o Glucocorticoids o Chloral hydrate o Griseofulvin o Omeprazole o Meprobamate o Glutethimide o Cigarette smoking Remember o All Barbiturates are enzyme inducers except secobarbital, which inhibits the enzyme. o Acutely, ritonavir is an inhibitor, while with chronic (repeated) administration it acts as an inducer.